Polysaccharide antigens are:
1. T cell independent antigens
2. T cell dependent antigens
3. MHC I dependent antigens
4. MHC II dependent antigens

Correct answer: 1. T cell independent antigens

Explanation: Ans. (a)For proteins and erythrocytes - T cell dependent antigens.For polysaccharides - T cell independent antigens.Protein antigens eliminated in days to weeks whereas polysaccharide antigens persist for months to years e.g., pneumococcal polysaccharide may persist upto 20 years in humans following a single injection.